Ectopia lentis is caused by -
1. Marfan syndrome
2. Trauma
3. Ehler danlos syndrome
4. All

Correct answer: 4. All

Explanation: Ans. is 'd' i.e.. All Ectopia lentiso Ectopia lentis is defined as displacement or malposition of the crystalline lens of the eye. The lens is considered dislocated (luxated) when it lies completely outside the lens patellar fossa. The lens is described as subluxated when it is partially displaced but contained within the lens space. Causes arei) Homocyst in uriav) Hyperlysinemiaii) Marfan syndromevi) Sulphite oxidase deficiencyiii) Weil - Marchesani sydromevii) Stickler syndromeiv) Ehler Danlos syndromeviii) Traumaix) Consecutive / spontaneous (Hypermature cataract, buphthalmos, high myopia)